Symptoms of iron poisoning in a 3-year-old child may include severe GI distress with hematemesis, a shock like state with marked dehydration and progressive hemorrhagic gastritis. Regarding the management of iron toxicity, which one of the following statements is accurate?
1. Gastric lavage should not be attempted because of possible aspiration of stomach contents.
2. The patient is likely to have a reduced anion gap.
3. Urinary alkalization increases elimination of iron.
4. Deferoxamine should be administered as soon as possible.

Correct answer: 4. Deferoxamine should be administered as soon as possible.

Explanation: Deferoxamine chelates iron and is the antidote in iron poisoning. Gastric lavage should be attempted with care regarding aspiration, but changes in urine pH have no effect on the elimination of iron. Laboratory results will reveal an increased anion gap indicative of acidosis. The systemic absorption of many drugs taken orally can be reduced by activated charcoal; unfortunately, iron is not one of them.